The occurrence of hyperthyroidism following administration of supplemental iodine to subjects in endemic area of iodine deficiency is due to?
1. Wolf-Chaikoff effect
2. Jod-Basedow effect
3. Pemberton effect
4. Graves' effect

Correct answer: 2. Jod-Basedow effect

Explanation: The Jod-Basedow effect is hyperthyroidism following administration of iodine or iodide, either as a dietary supplement or as contrast medium. This phenomenon is an iodine-induced hyperthyroidism, due to increase in process of iodine trapping due to increased availability of daily iodine in micro-dosages over a large number of years. In contrast Wolf Chaikoff effect is hypothyroidism due to decrease in iodine trapping due to exposure to mega dosages of iodine in blood circulation. Effect Basis Iodine Trapping Net Result Jod Basedow effect Exposure to micro dosage of iodine over large number of years Increase iodine trapping Resulting in thyrotoxicosis Wolf Chaikoff effect Exposure to mega dosages of iodine over few weeks Decreases iodine trapping Resulting in hypothyroidism